Vitamin K dependent clotting factor is:
1. Factor VII
2. Factor I
3. Factor XI
4. Factor XII

Correct answer: 1. Factor VII

Explanation: A i.e. Factor VII